Most common type of carcinoma lung is?
1. Small cell carcinoma
2. Adenocarcinoma
3. Squamous cell carcinoma
4. Large cell carcinoma

Correct answer: 2. Adenocarcinoma

Explanation: Ans. is 'b' i.e., Adenocarcinoma